Single pelvic ala is present in:
1. Robert's pelvis
2. Naegele' s pelvis
3. Osteomalacia pelvis
4. Rickets pelvis

Correct answer: 2. Naegele' s pelvis

Explanation: Ans. B. Naegele's pelvisNaegele's pelvis - Ala on one side is absenta. Robert's pelvis - Ala on both sides are absentb. Osteomalacic pelvis - the shape of inlet is triradiatec. Rachitic pelvis - shape of inlet is reniformd. The expected date of delivery can be calculated by Naegele's rule